An abattoir worker presented with a malignant pustule on his hand that progressed to form an ulcer. The smear was taken from the ulcer and sent to a laboratory for investigation. The diagnosis is:
1. Cutaneous anthrax
2. Carbuncle
3. Ulcerating melanoma
4. Infected rodent ulcer

Correct answer: 1. Cutaneous anthrax

Explanation: Anthrax is a zoonoses, caused by Bacillus anthracis Q, that occurs primarily in herbivores Routes of Infection: Humans become infected when B.
anthracis spores are introduced into the body by the following routes:
Contact with infected animals or contaminated animal products Q
Insect bites Q
Ingestion Q
Inhalation Q
Three major clinical forms in Humans:
Cutaneous Q (MC) Gastrointestinal (rare) Inhalational or pulmonary (it causes hemorrhagic pneumonia)